C- peptide is secreted by -
1. A cells
2. B cells
3. D cells
4. F cells

Correct answer: 2. B cells

Explanation: Ans. is 'b' i.e., B cells o Insulin is a polypeptide hormone which is synthesized as a larger preprohormone (preproinsulin).o Asthepreprohormone enters the endoplasmic reticulum, 23 amino-acid signal peptide is removed and it is converted to prohormone (proinsulin).o Proinsulin is made up A and B chain connected by a connecting peptide (C-peptide or C-chain).o C-peptide is detached in the granules before secretion. Normally, 90-97% of the product released from B cells is insulin along with equimolar amounts of C-peptide.o Insulin is a two chain polypeptide having 51 aminoacids: The A chain has 21 while B-chain has 30-aminoacids.o Half life of insulin is about 5 minutes.